Which during can be eliminated by nonenzymatic degradation
1. Atracurim
2. Pancuronium
3. Mivacurium
4. Dexacruium

Correct answer: 1. Atracurim

Explanation: The unique feature of atracurium is inactivation in plasma by spontaneous nonenzymatic degradation (Hofmann elimination) in addition to that by alkaline ester hydrolysisConsequently its duration of action is not altered in patients with hepatic/renal insufficiency or hemodynamic compromise - it is the preferred muscle relaxant for such patients as well as for neonates and elderly.(Refer: stoelting's pharmacology and physiology in anaesthetic practice, 5th edition, pg no.328)